Which of the following is a dimorphic fungus -
1. Rhizopus
2. Sporothrix schenckii
3. Tinea versicolor
4. Microsporum

Correct answer: 2. Sporothrix schenckii